Most common tumour of infancy is -
1. Lymphangioma
2. Rhabdomyoma
3. Haemangioma
4. Lipoma

Correct answer: 3. Haemangioma

Explanation: Hemangiomas are the most common tumors of infancy. Both cavernous and capillary hemangiomas may be encountered (Chapter 9), Hemangiomas are the most common tumors of infancy. Both cavernous and capillary hemangiomas may be encountered , although the latter often are more cellular than in adults and thus may be deceptively worrisome-appearing. In children, most hemangiomas are located in the skin, particularly on the face and scalp, where they produce flat to elevated, irregular, red-blue masses; the flat, larger lesions are referred to as port wine stains. Hemangiomas may enlarge as the child gets older, but in many instances they spontaneously regress . The vast majority of superficial hemangiomas have no more than a cosmetic significance; rarely, they may be the manifestation of a hereditary disorder associated with disease within internal organs, such as the von although the latter often are more cellular than in adults and thus may be deceptively worrisome-appearing. In children, most hemangiomas are located in the skin, particularly on the face and scalp, where they produce flat to elevated, irregular, red-blue masses; the flat, larger lesions are referred to as port wine stains. Hemangiomas may enlarge as the child gets older, but in many instances they spontaneously regress . The vast majority of superficial hemangiomas have no more than a cosmetic significance; rarely, they may be the manifestation of a hereditary disorder associated with disease within internal organs, such as the von Hippel-Lindau and Sturge-Weber syndromes . A subset of CNS cavernous hemangiomas can occur in the familial setting; affected families harbor mutations in one of three cerebral cavernous malformation (CCM) genes. Reference: Robbins Basic Pathology pg no:257,258